Plasmalogens belong to which group of compounds:
1. Phospholipid
2. Sphingolipids
3. Aminosugars
4. None of the above

Correct answer: 1. Phospholipid

Explanation: These compounds constitute as much as 10% of the phospholipids of brain and muscle. Structurally, the plasmalogens resemble phosphatidylethanolamine but possess an ether link on the sn-1 carbon instead of the ester link found in acylglycerols. Ref: Harper 28th edition, chapter 16.